Factors responsible for ketosis in a patient of von Gierke's disease are all, except
1. Hypoglycemia
2. Impaired gluconeogenesis
3. Impaired glycogenolysis
4. Low fat mobilzation

Correct answer: 4. Low fat mobilzation

Explanation: Glucose -6- phosphate deficient Fasting hypoglycemia that doesn't respond to stimulation by adrenaline In starvation, the dietary supply of glucose is decreased. Available oxaloacetate is channeled to gluconeogenesis. The increased rate of lipolysis is to provide altenate source of fuel.Ref: DM Vasudevan, 7th edition, page no: 165